Characteristic CT finding in acute SDH is-
1. Crescent shaped hyperdense lesion
2. Biconvex hyperdense lesion
3. Biconcave hyperdense lesion
4. Crescent shaped hypodense lesion

Correct answer: 1. Crescent shaped hyperdense lesion

Explanation: Ans. is 'a' i.e. Crescent shaped hyperdense lesion Appearance of hematomas on CT* Biconvex (lens shaped or lenticular) hyperdense(2/3rd) or mixed density lesion(l/3rd) - Epidural hematoma.* Crescent (concao-convex) hyperdense (<2 weeks) or isodense (2-4 weeks) or hypodense (>4 weeks) lesion - subdural hematoma.